Rectus sheath is contributed by?
1. External and internal oblique aponeurosis
2. Internal oblique and transversus abdominis aponeurosis
3. External, internal oblique and transversus abdominis aponeurosis
4. Aponeurosis of Internal oblique and transverse abdominis & fascia transversalis

Correct answer: 3. External, internal oblique and transversus abdominis aponeurosis

Explanation: The rectus sheath, also called the rectus fascia, is formed by the aponeurosis of the transverse abdominus and the internal and external oblique muscle. It contains the rectus abdominis and pyramidalis muscles.